Chandu, a one year old child should be admited in hospital for following complains except -
1. Refusal of feed
2. Respiratory rate of 50 per minute with chest retraction
3. Fever 39degC
4. Difficulty in waking

Correct answer: 3. Fever 39degC

Explanation: Ans. is 'c' i.e., Fever 39degC A sick child is classified as having Very severe Respiratory Diseaseif he shows any of the following signs :( 2 months to 5 years) : Not able to drink Convulsion Abnormally sleepy or difficult to wake Stridor in a calm child. Severe malnutrition Also, the most important signs to consider if a child has pneumonia are : Child's Respiratory Rate : - Fast breathing is present when the R.R. is ? 60 breaths/min or more in a child less than 2 months of age 50 breaths / min or more in a child aged 2 months to 12 months 40 breaths / min or more in a child aged 12 months to 15 years Chest In-drawing : A child with very severe disease or with severe pneumonia needs to be referred urgently to the hospital. In the question above, child is 1 year of age, and hence, fever is not used as a criteria for classifying the disease as severe (which is used as a criteria in infants < 2 months of age) Also, respiratory rate of 50 here is significant in accordance with the age (for a child < 12 months old, it would have been normal).